Oxytocin is synthesized in:
1. Anterior pituitary
2. Hypothalamus
3. Intermediate pituitary
4. Posterior pituitary

Correct answer: 2. Hypothalamus

Explanation: Ans. B i.e. HypothalamusOxytocinIn the hypothalamus, oxytocin is made in magnocellular neurosecretory cells of the supraoptic and paraventricular nuclei., andIt is stored in Herring bodies at the axon terminals in the posterior pituitary.It is then released into the blood from the posterior lobe (neurohypophysis) of the pituitary gland.It is a neurohypophysial hormone that acts primarily as a neuromodulator in the brain.Oxytocin plays roles in sexual reproduction, in particular during and after childbirth.Both childbirth and milk ejection result from positive feedback mechanisms